Osgood schlatters disease is associated with osteochondritis of
1. Patella
2. Femur medial condyle
3. Tibial tubercle
4. Femur lateral condyle

Correct answer: 3. Tibial tubercle

Explanation: Types of Osteobchondritis and Nomenclature